For which of the following sampling, a Design effect is used?
1. Simple random sampling
2. Systematic random sampling
3. Cluster random sampling
4. Stratified random sampling

Correct answer: 3. Cluster random sampling

Explanation: DESIGN EFFECT

Definition: Adjustment used in few study/sampling designs to allow for design structure, especially to allow for correlations among cluster of observations
Uses:

– Cluster randomised trials
– Cluster random sampling
– Multistage sampling
– Health facility cluster survey